Acyclovir is used in -
1. Herpes keratitis
2. CMV retinitis
3. HepatitisC
4. Hepatitis B

Correct answer: 1. Herpes keratitis

Explanation: Ans. is 'a' i.e., Herpes keratitisAntiviral DrugIts UseAcyclovirHerpes Simplex Virus Varicella Zoster VimsGanciclovirCMV and HS VFoscamet (i.v.)CMVOseltamivir (oral)Influenza A & influenza BRibavirinChronic HCV (with IFN-?)LamivudineHIV. Chronic HBVEntecavirHBV resistant to lamivudine